Which of the following drug combination is supraadditive
1. Nitrous oxide + halothane as general anaesthetic
2. Glibenclamide + metformin as hypoglycaemic
3. Sulfamethoxazole + trimethoprim
4. Ephedrine + theophylline as bronchodilator

Correct answer: 3. Sulfamethoxazole + trimethoprim

Explanation: Additive: Effect of drug A + B = effect of drug A + effect of drug B Aspirin + paracetamol as analgesic/ antipyretic Nitrous oxide + halothane as general anaesthetic Amlodipine + atenolol as antihypertensive Glibenclamide + metformin as hypoglycaemic Ephedrine + theophylline as bronchodilator Supra additive : Effect of drug A + B > effect of drug A + effect of drug B Acetylcholine + Physostigmine Inhibition of break down Levodopa + carbidopa/ Inhibition of peripheral metabolism benserazide Adrenaline + cocaine/ desipramine Inhibition of neuronal uptake Sulfamethoxazole + trimethoprim Sequential blockade Antihypertensives enalapril+ hydrochlorothiazide: Tackling two contributoryfactors